Which natural family planning method is based on Ogino Knauss theory ?
1. BBT method
2. Rhythm method
3. Lactational aneronhea
4. Withdrawal method

Correct answer: 2. Rhythm method

Explanation: In Knaus-Ogino method, the fertile period is determined by subtracting 18 days from the shortest cycle and 10 days from the longest cycle which gives the first and the last day of fertile period, respectively. This method will result in approximately 25 pregnancies per 100 woman years. The failure results from irregular ovulation or from irregular menstrual cycles. Some couples prefer this method on religious grounds or because they find other methods unacceptable. Reference: Shaw's Textbook of Gynaecology, 16th edition,page 265.